General anaesthetic agent causing sympathetic stimulation:
1. Thiopental
2. Ketamine
3. Midazolam
4. Etomidate

Correct answer: 2. Ketamine

Explanation: Ans. B: Ketamine Ketamine stimulates sympathetic system causing tachycardia and hypertension so it is intravenous anaesthetic of choice for shock Disadvantages of Midazolam: Incidence of apnea, respiratory depression and hypotension are higher and more profound than diazepam Thiopentone causes hypotension which is more because of venodilatation Ketamine: It is phencyclidine Causes dissociative anaesthesia Increases all pressures (BP, intraocular tension, intracranial tension) Causes profound analgesia Causes hallucinations, illusions and delusions Contraindicated in: Intracerebral mass or hemorrhage Causes bronchodilation (used in asthmatics) and increases cardiac output (used in hypovolumic shock)